A person wants to visit a malaria endemic area of low level chloroquine resistant falciparum malaria. The best chemoprophylaxis is -
1. Chlorquine
2. Proguanil + Pyrimethamine
3. Sulfadoxine + Pyrimethamine
4. Mefloquine

Correct answer: 4. Mefloquine

Explanation: - in areas of chloroquine resistant falciparum malaria, the chemoprophylaxis is mefloquine. - weekly mefloquine should preferably be started before departure to malaria endemic areas, to achieve higher pre travel blood level. Reference : Park's textbook of preventive and social medicine, 23rd edition, pg no:268